Malignant gastric ulcers are characterized by all except
1. ulcer extends beyond the gastric wall.
2. Mucosal rugae stop far of ulcers
3. Eccentric crater
4. Margins are raised

Correct answer: 1. ulcer extends beyond the gastric wall.

Explanation: In malignant ulcers mucosal rugae stop far of the ulcers whereas in benign ulcers mucosal rugae projects outwards front the margins of the ulcer